After extraction of upper central incisor, patient develops ophthalmoplegia, meningitis and lateral rectus paralysis. The diagnosis is
1. Cavernous sinus thrombosis
2. Not related
3. Cellulitis
4. Ludwig's angina

Correct answer: 1. Cavernous sinus thrombosis